The newer aminosalicylate with side effect of watery diarrhea caused by increased secretion of fluid in the small bowel is:
1. Olsalazine
2. 5-ASA
3. Mesalamine
4. Balsalazide

Correct answer: 1. Olsalazine

Explanation: Olsalazine is composed of two 5-ASA radicals linked by an azo bond, which is split in the colon by bacterial reduction, and two 5-ASA molecules are released. MUST KNOW: Olsalazine is similar in effectiveness to sulfasalazine in treating UC, but up to 17% of patients experience nonbloody diarrhea caused by increased secretion of fluid in the small bowel. ALSO KNOW: Balsalazide contains an azo bond binding mesalamine to the carrier molecule 4-aminobenzoyl--alanine; it is effective in the colon. Ref: Harrison, Edition-18, Page-2489.